OVAL cells seen in stem cells of-
1. Skin
2. Cornea
3. Liver
4. Bone

Correct answer: 3. Liver

Explanation: oval cells - canal of herring of the liver limbus cells - canal of schlemm (stem cell for the cornea) epidermal stem cell in the skin bone marrow stromal stem cell - fat,cartilage,bone ref robbins pathology 9th ed page 28